Which of the following is produced sexually
1. Ascospore
2. Conidium
3. Blastospore
4. Yeast buds

Correct answer: 1. Ascospore

Explanation: Sexual spores are of 4 types - oospore, ascospore, zygospore and basidiospore. Ascospore produced by ascomycetes. Asexual spores are of 2 type - vegetative and arterial spores. Vegetative - blastospores, arthrospores and chlamydospores. Arterial - conidiospores, microconidia, macroconidia , sporangiospores. Reference: Textbook of Microbiology; Baveja; 4th edition